Which of the following is not used in the treatment of pulmonary hypertension?
1. Calcium channel blockers
2. Alpha blockers
3. Prostacyclins
4. Endothelin receptor antagonists

Correct answer: 2. Alpha blockers

Explanation: Ans. (B) Alpha blockers(Ref: CMDT 2010/381)Management of Idiopathic Pulmonary Hypertension*If the patient responds to vasodilators, then calcium channel blockers (including amlodipine, diltiazem, and nifedipine) are the first-line therapy.Other drugs that can be used are:-Phosphodiesterase inhibitors (e.g. sildenafil)-Prostacyclin analogs (e.g. epoprostenol)-endothelin receptor blockers (e.g. bosentan)